A previously healthy 6 week old female infant, is found unresponsive in on the bed. In the emergency department, she is noted to be well developed and well nourished with normal blood pressure and appearance of the genitalia but with increased pigmentation of her skin. Her blood glucose level is 30 mg/dL. What is the most likely diagnosis?
1. CAH due to 21 alpha hydroxylase deficiency
2. Familial glucocorticoid deficiency
3. Insulinoma
4. Cushing syndrome

Correct answer: 2. Familial glucocorticoid deficiency

Explanation: Infant is showing features of familial glucocorticoid deficiency a rare autosomal recessive disorder characterized by primary adrenal insufficiency without mineralocorticoid deficiency. In this condition there is adrenocortical resistance to ACTH. Patients presents during early infancy with hypoglycemia, hyperpigmentation, low plasma cortisol and failure to respond to ACTH stimulation with increased steroidogenesis. Zona fasciculate and reticularis in these patients are reduced to a narrow band of fibrous tissue whereas the zona glomerulosa is well preserved. Patients are treated with replacement doses of hydrocortisone or equivalent doses of other glucocorticoids. They do not require mineralocorticoid supplementation as their zona glomerulosa is normal.